Monotherapy with which of the following antidiabetic drug can cause hypoglycemia?
1. Metformin
2. Gliclazide
3. Piogiltazone
4. All of the above

Correct answer: 2. Gliclazide

Explanation: Gliclazide belongs to sulphonyluread. It has higher incidence of hypoglycemia. metformin and glitazones- no hypoglycemia risk (REF.Essential of medical pharmacology K D TRIPATHI 6 Edition, Page No - 268)